Bisfiriens pulse is seen in all Except:
1. AS + AR
2. AR
3. Hypertrophic cardiomyopathy
4. TOF

Correct answer: 4. TOF

Explanation: Answer is D (TOF) Aortic Regurgitation alone or with Aortic stenosis and Hypertrophic cardiomyopathy are all associated with pulsus bisferiens